Compared to hepatic bile, gallbladder bile contains a reduced concentration of which of the following?
1. Bile acids
2. Chloride Ions
3. Protons
4. Cholesterol

Correct answer: 2. Chloride Ions

Explanation: Composition of Bile Substance Liver Bile Gallbladder Bile Water 97.5 g/dl 92 g/dl Bile salts 1.1 g/dl 6 g/dl Bilirubin 0.04 g/dl 0.3 g/dl Cholesterol 0.1 g/dl 0.3 to 0.9 g/dl Fatty acids 0.12 g/dl 0.3 to 1.2 g/dl Lecithin 0.04 g/dl 0.3 g/dl Na+ 5 mEq/L 130 mEq/L K+ 5mEq/L 12 mEq/L Ca++ 5 mEq/L 23 mEq/L Cl- 100 mEq/L 25 mEq/L HCO3 28 mEq/L 10 mEq/L